48 year old male reported with the chief complaint of ulcer on the gums and on general examination headache, fever and malaise was observed. On oral examination, sharply punched out crater-like erosions of the interdental papillae of sudden onset were noted. The patient also complained of bad breath.

Diagnosis is
1. ANUG
2. Pericoronitis
3. Chediak Higashi diseases
4. Desquamative gingivitis

Correct answer: 1. ANUG